Activity of extrinsic pathway of blood coagulation is measured by :
1. Bleeding time
2. Prothrombin time/INR
3. aPTT
4. Thrombin time

Correct answer: 2. Prothrombin time/INR